Most important enzyme in DNA replication for chain elongation -
1. Helicase
2. DNA polymerase I
3. DNA polymerase III
4. Topoisomerase III

Correct answer: 3. DNA polymerase III

Explanation: Ans. is 'c' i.e., DNA polymerase IIIImportant DNA PolymerasesIn Prokaryoteso DNA polymerase I:- Helps in gap filling and synthesis between okazaki fragments of lagging strand, and replaces ribonucleotides of RNA primer by deoxyribonucleotides. It has (i) 31 - 51 exonuclease activity, (ii) 51 - 31 exonuclease activity and (iii) polymerase (51 - 31 polymerase) activityo DNA polymerase II:- Helps in (i) proof reading (31 - 51 exonuclease activity), and (ii) DNA repairo DNA polymerase III:- It is the main enzyme that synthesizes prokaryote DNA, i.e., synthesis of leading and lagging strand. It has (i) 51 - 31 polymerase (or simply polymerase) activity for DNA synthesis, and (ii) 31 - 51 exonuclease activity for proof reading.In Eukaryoteso DNA polymerase a:- It has primase activity (i.e. synthesizes RNA primer), and initiates DNA synthesiso DNA polymerase b:- It is a DNA repair enzymeo DNA polymerase g:- Replicates mitochondrial DNAo DNA polymerase d:- Helps DNA synthesis on lagging strand, i.e. elongation of okazaki fragments on lagging strand. It also has 51-31 exonuclease activity for proof reading.o DNA polymerase e:- Helps in DNA synthesis on leading strand. It also has 51 - 31 exonuclease activity for proof reading.